An 8 week infant can do all the following except ?
1. Head control
2. Lift its head up to horizontal line in ventral suspension
3. Follows red object upto 180
4. Social smile

Correct answer: 1. Head control

Explanation: Ans. is 'a' i.e., Head control o Head control develops by 3 months. o In ventral suspension a child can lift his head in the horizontal plane by 2 months (8 weeks) o A child follows object with steady movement by 2 months (8 weeks). o Social smile develops by 2 months ( 8 weeks). o A child turns head to sound by 1 month.